In a child with foreign body in bronchus, next step is:
1. Rigid bronchoscopy
2. Chest X-ray
3. Flexible endoscopy
4. Direct laryngoscopy

Correct answer: 1. Rigid bronchoscopy

Explanation: In the question, child has already been diagnosed with bronchial foreign body. Hence next step would be its removal and treatment of choice in a child with foreign body in bronchus is Rigid bronchoscopy.